Selective plating medium for V. cholerae is:
1. Carry-Blair medium
2. TCBS agar
3. VR medium
4. MacConkey medium

Correct answer: 2. TCBS agar

Explanation: AQns. is. 'b' i. e., TCBS agar